Spinocerebellum is involved in:
1. Maintainance of postural balance
2. Smoothening and coordination of movements
3. Planning and programming of movements
4. Initiation of skilled voluntary movements

Correct answer: 2. Smoothening and coordination of movements

Explanation: Vestibulocerebellum (flocculonodular lobe) concerned with equilibrium (postural balance) and eye movements. Spinocerebellum is responsible for smoothening and coordination of movements. Cerebrocerebellum has role in planning and programming of movements. Initiation of skilled voluntary movements: Cortical association area.